Artery cannulated most commonly for invasive blood pressure monitoring is:
1. Femoral artery
2. Carotid artery
3. Radial artery
4. Ulnar artery

Correct answer: 3. Radial artery

Explanation: Ans. C i.e. Radial artery